What is the lining of the lacrimal gland alveoli?
1. Ciliated columnar cells
2. Pyramidal cells
3. Non keratinizing squamous epithelium
4. None

Correct answer: 2. Pyramidal cells

Explanation: Ans. is 'b' i.e., Pyramidal cells Histology of lacrimal gland* Alveoli of the gland are lined by pyramidal cells, which show lightly stained apical secretary granules.* Myoepithelial cells occur between the alveolar cells and their basal lamina.* Stroma of the gland consists of loose connective tissue.* Ducts of the gland are lined by simple cuboidal epithelium.* The lacrimal gland is a compound tubuloacinar gland, it is made up of many lobules separated by connective tissue, each lobule contains many acini. The acini contain only serous cells and produce a watery serous secretion.* Each acinus consists of a grape-like mass of lacrimal gland cells with their apices pointed to a central lumen.* The central lumen of many of the units converge to form intralobular ducts, and then they unite to from interlobular ducts. The gland lacks striated ducts.